All are reduced in Iron deficiency anaemia EXCEPT:
1. T.I.B.C
2. Percentage saturation of Transferrin
3. Hemoglobin
4. Ferritin

Correct answer: 1. T.I.B.C

Explanation: Ref: Robbins E- Book P 454Iron deficiency anaemia has all parameters reduced except Total iron binding capacity. Iron deficiency anemiaHematocrit| to |||MCV| to |||MCHC|Serum iron| to |||Serum TIBCNormal to | Serum ferritin| to ||Stainable iron in marrowAbsentReticulocytesNormal to |